The hemoglobin to appear first in the fetus is ?
1. Hb A
2. Hb A2
3. Hb F
4. Hb G ow ers

Correct answer: 4. Hb G ow ers

Explanation: Ans. is 'd' i.e., Hb Gowers o Within the red blood cell mass of an embryo, fetus, child and adult, six different hemoglobins may normal be detected - 1 ) Gower - 1 (C,, e2) 2) Gower - 2 (a2E2) Embryonic hemoglobin 3) Hb portland (C2y2) 4) Hb - F (a2y2) --> Fetal hemoglobin 5) Hb - A (a2(2.) } Adult hemoglobin 6) Hb A2 (a282)